In type II RTA (Renal tubular acidosis) serum postassium level is -
1. Low
2. Normal
3. 5.7 mEq
4. >7 mEq

Correct answer: 1. Low